All of the following muscles have dual nerve supply except ?
1. Subscapularis
2. Pectoralis major
3. Pronator teres
4. Flexor digitorum profundus

Correct answer: 3. Pronator teres

Explanation: Ans. is 'c' i.e., Pronator teres